Which of the following is not a branch of anterior trunk of vagus
1. Motor nerve to gallbladder
2. Motor Nerve to pylorus.
3. Criminal nerve of grassi
4. Anterior nerve of latarjet

Correct answer: 3. Criminal nerve of grassi

Explanation: Criminal nerve of grassi is a branch of posterior trunk.